Which of the following is not a side effect of phenytoin?
1. Hypoglycemia
2. Osteomalacia
3. Gum hypertrophy
4. Lymphadenopathy

Correct answer: 1. Hypoglycemia

Explanation: Side Effects. Headache, nausea, vomiting, constipation, dizziness, feeling of spinning, drowsiness, trouble sleeping, or nervousness may occur. If any of these effects persist or worsen, tell your doctor or pharmacist promptly. Phenytoin may cause swelling and bleeding of the gums Ref: KD Tripathi 8th ed.